Acute mastitis commonly occurs during?
1. Pregnancy
2. Puberty
3. Lactation
4. Infancy

Correct answer: 3. Lactation

Explanation: Ans. is 'c' i.e. Lactation